Pearson formula is used for calculating
1. Cephalic index
2. Stature
3. Race
4. Age

Correct answer: 2. Stature

Explanation: karl Pearson formula for reconstruction of stature from dried long bones. Male female Stature 81.306 + 1.880F 72.884 + 1.945F Stature 70.641 + 2.894H 71.475 + 2.754 H Stature 78.664 + 2.376T 74.774 + 2.353T Stature 89.925 + 3.271R 81.224 + 3.343R F is femur, H is humerus, T is tibia, R is radius. The measurements are in centimeters. Ref: FORENSIC MEDICINE AND TOXICOLOGY Dr PC IGNATIUS THIRD EDITION PAGE NO 96